Which of the following topical agent boosts cell - mediated immunity in burns
1. Mafenide acelate
2. Silver nitrate
3. Cerium nitrate
4. Povidone iodine

Correct answer: 3. Cerium nitrate

Explanation: Cerium nitrate boosts cell - mediated immunity and forms sterile eschar in burns.